The cardinal rule is that appearance of iron deficiency in an adult male is most often due to ...... until proven otherwise:
1. Nutritional deficiency
2. Gastrointestinal blood loss
3. Renal disease
4. Malabsorption of iron due to worm infestation

Correct answer: 2. Gastrointestinal blood loss

Explanation: The cardinal rule is that the appearance of iron deficiency in an adult male means gastrointestinal blood loss. Reference: Harrisons Principles of Internal Medicine, 18th Edition, Page 846